Dental anomaly of teeth associated with defective bone formation is seen in
1. amelogenesis imperfecta
2. dentinogenesis imperfecta
3. Odontodysplasia
4. Osteitis deformans

Correct answer: 2. dentinogenesis imperfecta